Examination is carried in individual clinical practice corresponding terms in public health practice is
1. Diagnosis
2. Evaluation
3. Assessment of need
4. Appraisal and review

Correct answer: 3. Assessment of need